Watson and crick are known for:
1. Discovery of helical structure of DNA
2. Association of Helicobacter Pylori with Chronic Gastritis
3. Discovery of HIV virus
4. None of the above

Correct answer: 1. Discovery of helical structure of DNA

Explanation: Watson and Crick discovered helical structure of DNA and won a noble prize for it (Ref: TEXTBOOK OF MEDICAL PHYSIOLOGY - GEETHA)